Most common site for venous thrombosis ?
1. Popliteal vein
2. Soleal vein
3. Femoral vein
4. Internal iliac vein

Correct answer: 2. Soleal vein

Explanation: Ans. is 'b' Soleal vein